Both temporary and permanent hardness of water can be removed by:
1. Boiling
2. Adding lime
3. Adding sodium carbonate
4. None of the above

Correct answer: 3. Adding sodium carbonate

Explanation: Temporary hardness can be removed by: Boiling Adding lime Adding sodium carbonate Permutit process Permanent hardness can be removed by Adding sodium carbonate Base exchange resins Ref: Park 21st edition page: 672.